Sildenafil is used in treatment of:
1. Sterility
2. Priaprism
3. Erectile dysfunction
4. Decreased libido

Correct answer: 3. Erectile dysfunction

Explanation: Ans. is 'c' i.e., Erectile dysfunction Sildenafil* Sildenafil (Viagra) acts to increase cGMP by inhibiting its breakdown by phosphodiesterase isoform 5 (PDE-5).* The drug has been very successful in the marketplace because it is an orally active drug which is used for treatment of erectile dysfunction and which is popularly marketed as Viagra.* However, sildenafil is of little or no value in men with loss of potency due to cord injury or other damage to innervation and in men lacking libido.* Furthermore, sildenafil potentiates the action of nitrates used for angina, and severe hypotension and a few myocardial infarctions have been reported in men taking both drugs.* It is recommended that at least 6 hours pass between use of a nitrate and the ingestion of sildenafil. Sildenafil also has effects on color vision, causing difficulty in blue-green discrimination. Two similar PDE-5 inhibitors, tadalafil and vardenafil, are available.